Which of the following is the drug of choice for long-term management of panic disorder?
1. Phenothiazine
2. Azapirone
3. Beta blocker
4. Selective serotonin reuptake inhibitor

Correct answer: 4. Selective serotonin reuptake inhibitor

Explanation: SSRIs are the drugs of choice for long-term management of panic disorder Benzodiazepines are DOC for acute panic attacks